'Physiologic programmed cell death' is termed as
1. Apoptosis
2. Lysis
3. Autolysis
4. Autopsy

Correct answer: 1. Apoptosis